Neostigmine is used for reversing the adverse effect of:
1. dTC + pancuronium
2. d TC only
3. Alcuronium only
4. Ketamine complication

Correct answer: 1. dTC + pancuronium

Explanation: A i.e. dTC + Pancuronium As d-TC & Panduronium, both are non-depolarizing muscle relaxant, so neostigmine is used to reverse the drugs.